Severe intellectual disability means IQ in the range of
1. 50-70
2. 35-50
3. 20-35
4. <20

Correct answer: 3. 20-35

Explanation: ICD-10 Codes for Intellectual Disability F70 Mild intellectual disability IQ 50-69 F71 Moderate intellectual disability IQ 35-49 F72 Severe intellectual disability IQ 20-34 F73 Profound intellectual disability IQ <20 Reference: Page No .3450 chap. 37 Intellectual Disability (Kaplan & Sadock's Comprehensive Textbook of Psychiatry, 9th Edition)